What is the site for putting needle in chest in a patient with tension pneumothorax:
1. 2nd intercostal space, midclavicular line
2. 7th intercostal space, midaxillary line
3. 5th intercostal space, midclavicular line
4. 5th intercostal space, just lateral to vertebral column

Correct answer: 1. 2nd intercostal space, midclavicular line

Explanation: Ans. A: 2nd intercostal space, midclavicular line Treatment of tension pneumothorax consists of immediate decompression and is managed initially by rapid insertion of a large bore needle into the second intercostal space in the mid-clavicular line of the affected hemithorax